Minimum protrusion required for condylar guidance programming on an articulator is:
1. 3 mm
2. 4 mm
3. 6 mm
4. 8 mm

Correct answer: 3. 6 mm

Explanation: The sensitivity of semi-adjustable articulator is minimum of 6 mm to program using a protrusive record.